Gestational diabetes is diagnosed by:
1. Glucose tolerance test (GTT)
2. Random blood sugar
3. Fasting and postprandial blood sugar
4. 24 hours blood glucose profile

Correct answer: 1. Glucose tolerance test (GTT)

Explanation: Gestational diabetes is diagnosed by glucose tolerence test. GTT is done at 24 to 28 weeks of gestation . GTT should be performed in the morning after an overnight fast of atleast 8 hrs Diagnosis of GDM is made when any of the following plasma glucose values are exceeded Fasting >92mg/dl or if that after 2hours of ingestion of 100g glucose is over 120mg/100mL However if the fasting plasma glucose value is more than or equal to 126mg/dL ,andif confirmed on repeat test the women is considered as Diabetic even without running GTT test. Reference: DC.Duttas textbook of OBG, 9th edition,page 262